All the following features are seen in neurons from dorsal root ganglia, EXCEPT:
1. They are multipolar
2. They contain lipofuscin granules
3. They have centrally located nuclei
4. They are derived from neural crest cells

Correct answer: 1. They are multipolar

Explanation: Dorsal root ganglion consist of sensory neurons which are pseudounipolar and have no synaptic connections in the ganglion. They are classified as pseudounipolar because it lacks dendrites and has a single axon that bifurcate into a centrally efferent branch that functions as a dendrite to carry afferent sensory signals.